Which of the following is NOT a first line antihypertensive agent?
1. Enalapril
2. Hydrochlorthiazide
3. Amlodipine
4. Atenolol

Correct answer: 4. Atenolol

Explanation: A/C/D are first-line antihypertensives A-ACE inhibitors and ARBs C-calcium channel blockers D-Diuretics Beta blockers are not 1st line agents due to side effect profile (Ref-. Essentials of medical pharmacology K D TRIPATHI 8th Edition)